A 40 year male patient with a history of road traffic accident, 3 months back, presents with complaints of dreams about the accident. He has visualizations of the scene whenever he visits the place of accident. Which of the following disorder that he might be suffering from?
1. Adjustment disorder
2. Major depression
3. Acute Stress reaction
4. PTSD

Correct answer: 4. PTSD

Explanation: Ans. D PTSDPosttraumatic stress disorder (PTSD) is a mental disorder that can develop after a person is exposed to a traumatic event, such as sexual assault, warfare, traffic collisions, or other threats on a person's life. Symptoms may include disturbing thoughts, feelings, or dreams related to the events, mental or physical distress to trauma-related cues, attempts to avoid trauma-related cues, alterations in how a person thinks and feels, and an increase in the fight-or-flight response. These symptoms last for more than a month after the event. Young children are less likely to show distress, but instead may express their memories through play. A person with PTSD is at a higher risk for suicide and intentional self-harm.